Patient with bleeding due to platelet function defects has which of the following feautures?
1. Normal platelet count and normal bleeding time
2. Normal platelet count and increased bleeding time
3. Decreased platelet count and increased bleeding time
4. Normal platelet count and decreased bleeding time

Correct answer: 2. Normal platelet count and increased bleeding time

Explanation: The stem of question clearly mention the fact that there is platelet function defect.it means that the platelet count is normal with a problem in the functioning of platelets.(ref Harrisons 17th/723 Robbins 8th/670)